Cervical burnout is a phenomenon caused by
1. Decreased X-ray absorption in the cervical region of teeth with proximal caries
2. Decreased X-ray absorption in the cervical region of normal teeth
3. Decreased X-ray absorption in the cervical region of teeth with root caries
4. Decreased X-ray absorption in the cervical region of hypoplastic teeth

Correct answer: 2. Decreased X-ray absorption in the cervical region of normal teeth